In which one of the following organs, the venous emboli are most often lodged?
1. Lungs
2. Kidneys
3. Intestines
4. Heart

Correct answer: 1. Lungs